Which of the following enzyme that is responsible for unwinding of DNA helix?
1. Ligase
2. DNA primase
3. Helicase
4. DNA polymerase

Correct answer: 3. Helicase

Explanation: Helicase is an enzyme that unwinds and separates the two strands of the DNA double helix. There are DNA and RNA helicases. A ligase that facilitates the joining of DNA strands together by catalyzing the formation of a phosphodiester bond. DNA primase is the polymerase that synthesizes small RNA primers for the Okazaki fragments made during discontinuous DNA replication. A DNA polymerase is an enzyme that catalyzes the formation of polynucleotide chains through the addition of successive nucleotides derived from deoxynucleoside triphosphates.